Relative risk is define as ?
1. Incidence of disease among exposed minus incidence of disease among non-exposed
2. Incidence of disease among exposed plus incidence of disease among non-exposed
3. Incidence of disease among exposed divided by incidence of disease among non-exposed
4. None of the above

Correct answer: 3. Incidence of disease among exposed divided by incidence of disease among non-exposed

Explanation: Ans. is 'c' i.e., Incidence of disease among exposed divided by incidence of disease among non-exposed